Which of the following is not associated with hypothyroidism
1. Low T3
2. High TSH
3. High Triglycerides
4. Low cholesterol

Correct answer: 4. Low cholesterol

Explanation: Answer is D (Low cholesterol): Hypothyroidism is associated with increased cholesterol (Hypercholesterolemia) and not with low cholesterol (Hypocholesterolemia). A normal TSH excludes primary (but not secondary) hypothyroidism. If the TSH is elevated an unbound T4 level is needed to confirm the presence of clinical hypothyroidism but T4 is inferior to TSH where used as a screening test. *Circulating unbound T3 (Free T3) levels may be normal in about 25% of patients reflecting adaptive diodinase responses to hypothyroidism. Free T3 measurements are therefore not indicated.